A neonate with a scaphoid abdomen and respiratory distress has -
1. Congenital pyloric stenosis
2. Diaphragmatic hernia
3. Volvulus
4. Wilm's tumor

Correct answer: 2. Diaphragmatic hernia

Explanation: In congenital 'aphragmatic hernia, there is herniation of intraabdominal contents into the chest. It is also associated with pulmonary hypoplasia and pulmonary hypertension.
The infant presents with respiratory distress and a scaphoid abdomen.
Those with large defects are symptomatic in the delivery room, with tachypnea, grunting respirations, retractions and cyanosis. Those with smaller defects, symptoms may appear months later.